Sun flower cataractis seen in -
1. Galactosemia
2. Injuries
3. Laurence Moon Biedel syndrome
4. Wilson's disease

Correct answer: 4. Wilson's disease

Explanation: Ref: Parson's 22nd/e p.264 & 21st/e p.259